Enteropathy type T cell lymphoma is associated with -
1. M.A.L. Toma
2. Celiac Sprue
3. Menetrier disease
4. Crohn's disease

Correct answer: 2. Celiac Sprue

Explanation: Answer- B. Celiac SprueEnteropathy-type- T cell lymphoma is a rare complication of long-standing celiac disease.